In Muller's maneuver to predict cephalopelvic disproportion (CPD)
1. The vaginal finger is at ischial spine
2. The vaginal finger is at sacral promontory and thumb at the pubic symphysis
3. The vaginal finger is at tip of sacrum
4. None of the above

Correct answer: 1. The vaginal finger is at ischial spine

Explanation: Ans. a (The vaginal finger is at ischial spine) (Ref. Dutta Obst 6th/353)Muller introduced the abdominovaginal method of diagnosing CPD at the brim by placing the vaginal finger at the level of ischial spine to note the descent of the fetal head.Munro-Kerr added placement of the thumb over the synmphysis pubis to note the degree of overlapping.